Most important factor for a test to be a good screening test is?
1. Specificity
2. Sensitivity
3. Reliability
4. Predictive value

Correct answer: 2. Sensitivity

Explanation: ANSWER: (B) SensitivityREF: Park 20tsi edition page 127, style="color: rgba(20, 20, 20, 1); font-family: Times New Roman, Times, serif">ove rview aab6b5The intention of screening is to identify disease in a community early, thus enabling earlier intervention and management in the hope to reduce mortality and suffering from a disease. Although screening may lead to an earlier diagnosis, not all screening tests have been shown to benefit the person being screened; overdiagnosis, misdiagnosis, and creating a false sense of security are some potential adverse effects of screening. For these reasons, a test used in a screening program, especially for a disease with low incidence, must have good sensitivity in addition to acceptable specificity.